Diagnosis of CMV retinitis is primarily by?
1. Fundoscopy
2. Retinal biopsy
3. CMVDNA
4. ELISA

Correct answer: 1. Fundoscopy

Explanation: Ans. (a) FundoscopyRef: Kanski 7/e, chapter 11, Intraocular drug delivery by glenn J. Jaffe p 330